Which of the following is not an instrument grasp during scaling procedure?
1. Pen grasp
2. Thumb grasp
3. Modified pen grasp
4. Palm and thumbgrasp

Correct answer: 2. Thumb grasp